All of the following are anticholinergics, except
1. Ipratropium bromide
2. Dicyclomine
3. Atropine
4. Amphetamine

Correct answer: 4. Amphetamine